Branching posterior spoke like cataracts (Propeller) are seen in:
1. Down's syndrome
2. Fabry's disease
3. Neuro fibromatosis
4. Atopic keratoconjunctivitis

Correct answer: 2. Fabry's disease

Explanation: Ans. Fabry's disease